Molten - wax appearance is seen in –
1. Osteoporosis
2. Osteopoikilosis
3. Melorheostosis
4. Osteogenesis imperfecta

Correct answer: 3. Melorheostosis

Explanation: Molten was appearance is seen in melorheostosis.